Human to human transmission not seen in -
1. SARS
2. Japanese B encephalitis
3. Bird's flu
4. Poliomyelitis

Correct answer: 2. Japanese B encephalitis

Explanation: japaneseB encephalitis human infection is tangential'dead end' eventbird to bird transmisdion occur REF:MICROBIOLOGY ANANTHA NARAYANAN NINTH EDITION PAGE521